Common pathological changes seen in the kidney in benign hypertension are-
1. Fibronoid necrosis
2. Microaneurysm
3. Hyaline arteriosclerosis
4. Thining of walls

Correct answer: 3. Hyaline arteriosclerosis

Explanation: Microscopically there is a narrowing of the lumens of the arterioles and small arteries, caused by thickening and hyalinization of the walls (hyaline arteriolosclerosis). In addition, interlobular and arcuate arteries show medial hypertrophy, replication of internal elastic lamina, all of which narrow the lumen. Parenchymal changes: As a consequence of ischemia, there is a variable degree of atrophy of parenchyma. This includes glomerular shrinkage, eposition of collagen in Bowman's space, periglomerular fibrosis, tubular atrophy, and fine interstitial fibrosis. From Textbook of pathology Harsh Mohan 7th edition, pg no:678, Pathologic basis of disease Robbins South Asian edition(9), pg no:938,939